Mycobacterium causeing skin ulcer:
1. M.smegmatis
2. M.scrofulaceum
3. M.ulcerans
4. M.fortuitum

Correct answer: 3. M.ulcerans

Explanation: C i.e. M. ulcerans